Blood supply of Left ureter are -a) Uterine arteryb) Inferior vesical arteryc) Testicular arteryd) Common iliac arterye) External femoral artery
1. abc
2. acd
3. bcd
4. abcd

Correct answer: 4. abcd